7 year old child is brought to you with history of dog bite in the neighbourhood. On examination there is a small superficial abrasion without oozing of blood. You would classify this bite as:
1. Category 1
2. Category 2
3. Category 3
4. Category 4

Correct answer: 2. Category 2

Explanation: There is no class 4. If there had been multiple transdermal bites or scratches, it would have been classified as category 3. Category 1 means receiving lick on intact skin or touching/feeding of animals. Ref: Park's Textbook of Preventive Medicine, 20th Edition, Page 243.